45/M chronic alcoholic presented with pain abdomen, USG suggested fatty liver. Liver biospsy done has been shown below. What is your interpretation and likely diagnosis?
1. Lymphocytic infiltrate, Hep C
2. Neutrophillic Infiltrate, Hep B
3. Macrovesicular steatosis, Alcoholic liver disease
4. Squamous pearls, Metastasis

Correct answer: 3. Macrovesicular steatosis, Alcoholic liver disease

Explanation: Ans. (c) Macrovesicular steatosis, Alcoholic liver disease* Liver with mixed small and large fat droplets (white round structures, steatosis) a feature seen in alcoholic liver disease.